All are true regarding fetal RBC's Except -
1. Elevated 2,3 DPG
2. Decreased carbonic anhydrase activity
3. Decreased life span
4. High RBC volume

Correct answer: 1. Elevated 2,3 DPG

Explanation: The difference in physiochemical properties when compared with Hb A are: increased solubility of deoxy HbF,slower electrophoretic mobility for HbF,increased resistance of UnFortunately to alkali denaturation,HbF has decreased interaction with 2,3-BPG.Thus increase in oxygen affinity is physiologically advantageous in facilitating transplacental oxygen transport due to diminished binding of 2,3-BPG.

Reference :DM Vasudevan textbook of biochemistry sixth edition pg no 259